Cholesterol is a(an)
1. Ester
2. Phospholipid
3. Sterol
4. Lipoprotein

Correct answer: 3. Sterol

Explanation: Ref: DM Vasudevan - Textbook of Biochemistry, 6th edition, page no: 146